Floaters can be seen in following except:
1. Vitreous haemorrhage
2. Retinal detachment
3. Uveitis
4. Ac. congestive Glaucoma

Correct answer: 4. Ac. congestive Glaucoma

Explanation: D i.e. Acute congestive glaucoma